The most accurate investigation for assessing ventricular function is:
1. Multislice CT
2. Echocardiography
3. Nuclear scan
4. MRI

Correct answer: 4. MRI

Explanation: Ans. MRI